Schiller- Duval bodies is seen in:
1. Choriocarcinoma
2. Embryonal cell Ca
3. Endodermal sinus tumour
4. Immature teratoma

Correct answer: 3. Endodermal sinus tumour

Explanation: Ans. (c) Endodermal sinus tumour(Ref: R 9th/pg 977)Yolk sac tumor or endodermal sinus tumor is the most common testicular tumor in infants and children <3 yrs of age. It has good prognosis